Erythema Chronicum Migrans is feature of
1. Lyme disease
2. Leptospirosis
3. Acute rheumatic fever
4. Pancreatic Adenocarcinoma

Correct answer: 1. Lyme disease

Explanation: Hallmark of primary Lyme disease is Erythema Migrans: OMacular expanding erythematous lesion, central clearing. OBegins one month after the tick bite. OMean diameter 15 cm. Painless, can cause itching. Ref : Ananthanarayana textbook of Microbiology 9th edition Pgno : 378-380